Which of the following is not an enzyme inhibitor
1. Isoniazid
2. Ketoconazole
3. Griseofulvin
4. Acute alcohol intoxication

Correct answer: 3. Griseofulvin

Explanation: Griseofulvin and chronic alcohol intoxication are enzyme inducers.